All of the following studies are 'analytical', except:
1. Field trials
2. Cohort studies
3. Case control studies
4. Ecological studies

Correct answer: 1. Field trials

Explanation: Field trial is a type of experimental or interventional study. Cohort study, case control study and ecological study are all types of analytical studies. Ref: Park's Textbook of Preventive and Social Medicine, By K. Park, 19th Edition, Page 58